Which of the following is best type of inquest at the international level ?
1. Coroner's inquest
2. Police inquest
3. Medical examiner's inquest
4. Magistrates inquest

Correct answer: 3. Medical examiner's inquest

Explanation: Medical examiner's system type of inquest is the best type of inquest.


In this system, the medical expert carries out the inquiry into the death.
He visits the scene of the crime and examines the dead body.
He then conducts a postmortem examination on the dead body.
Thus, he is in a better situation to correlate the findings of postmortem examination with the scene of the crime and thus give a better opinion into the cause of death.
This system is not practised in India and is held in the United States, Japan, and some other European countries.